Domestic solid waste does not contain
1. Night soil
2. Ash
3. Rubbish
4. Garbage

Correct answer: 1. Night soil